Which of the following is not seen in unilateral injury to hypoglossal nerve
1. Hemiatrophy of involved side
2. Deviation of tongue towards the same side
3. Loss of taste sensation of the affected side of tongue
4. Fasciulation of the tongue

Correct answer: 3. Loss of taste sensation of the affected side of tongue

Explanation: Ans.'c' Loss of taste sensation of the affected side of tongue